Secretory part of kidney originates from -
1. Metanephros
2. Ureteric bud
3. Mesonephros
4. Paramesonephric duct

Correct answer: 1. Metanephros

Explanation: Ans. is 'a' i.e., Metanephros * Kidneys develop from two sources :i) Metanephros (metanephric mesoderm or blastema):# It is the lowest part of nephrogenic cord which is derived from intermediate mesoderm.# It forms the excretory unit of kidney i.e. glomeruls, proximal convoluted tubule, loop ofhenle and distal convoluted tubule.ii) Ureteric bud:# It arises from lower part of mesonephric duct.# It forms collecting part of kidney (pelvis, major calyes, minor calyces, collecting tubules) and ureter.